In healing by first intention all of the following occurs EXCEPT
1. A continuous layer of epidermis forms within 48 hours
2. Reticulin can be demonstrated in the dermal gap by the 2nd to 3rd day
3. New collagen can be seen earliest by the 8 to 10 days
4. By the 4th week the cellular and vascular elements decrease in number and concentration

Correct answer: 3. New collagen can be seen earliest by the 8 to 10 days

Explanation: (C) New collagen can be seen earliest by the 8 to 10 days # Healing of Skin Wounds> Healing of a clean incised wound, the edges of which are closed (closed wound)-- takes place by a process known as healing by first intension.> The following changes take place :- Initial haemorrhage results in the formation of a fibrin-rich haematoma. Acute inflammatory process occurs and the fibrosis exudate helps to cement the cut margins of the wound together. Minimum granulation tissue is formed, which can be called organization. Regeneration of epithelium In the first 24 hours basal cells mobilise from the undersurface of the epidermis. By 48 hours the advancing epithelial edge undergoes cellular hypertrophy and mitosis. Epithelial cells gradually line the wound deep to the fibrin clot and it also lines the suture tracks. Implantation epidermoid cyst may develop from epithelial remnants. There may be formation of ugly punctate scars from sutures which are left in position for longer period. Use of adhesive tapes instead of sutures for closing wounds avoids these marks and gives better cosmetic result.